Hamptoms Hump is seen in:
1. Pulmonary embolism
2. Tuberculosis
3. Bronchogenic Ca
4. Pneumonia

Correct answer: 1. Pulmonary embolism

Explanation: Ans. Pulmonary embolism